Splenosis means -
1. Infection of spleen
2. Presence of acessory spleens
3. Rupture of spleen and distribution of its tissue on peritoneum
4. Non-functioning spleen

Correct answer: 3. Rupture of spleen and distribution of its tissue on peritoneum

Explanation: Ans. is 'c' i.e., Rupture of spleen and distribution of its tissue on peritoneum